Which of the following inhaled gas is used to decrease pulmonary artery pressure in adults and infants ?
1. Nitrous oxide
2. Nitrogen dioxide
3. Nitric oxide
4. Nitrogen

Correct answer: 3. Nitric oxide

Explanation: Nitric oxide dilates pulmonary vessels both in infants (used in persistent primary pulmonary hypertension) as well as in adults (used in primary pulmonary hypertension).